Fibrous scar in myocardial infection in well established by -
1. 6 weeks
2. 6 months
3. 6 days
4. 30 days

Correct answer: 1. 6 weeks